Uterus, before menarche, is lined by:
1. Ciliated columnar epithelium
2. Stratifies squamous non-keratinized epithelium
3. Staifies squamous keratinized epithelium
4. Cuboidal epithelium

Correct answer: 1. Ciliated columnar epithelium

Explanation: Ans. A: Ciliated columnar epithelium The lining epithelium of uterus is columnar Before menarche (the age of menstruation) the cells are ciliated, but thereafter most of the cells may not have cilia Ciliated columnar epithelium These cells are rectangular in shape and have between 200 to 300 hair-like protrusions called cilia T The mitochondria are found toward the apical region of the cell while the cell nuceli are found towards the base and are often elongated. Cells are interconnected desmosomses and tight junctions, creating a semipermeable membrane that is more selective that membrane found in other types of cell. Ciliated columnar epithelial cells are found mainly in the tracheal and bronchial regions of the pulmonary system and also in the fallopian tubes of the female reproductive system.